Preservative used for virological examination in autopsy is
1. Glycerol
2. Rectified spirit
3. Formalin
4. Thymol

Correct answer: 1. Glycerol

Explanation: Preservative used for virological examination in autopsy is Glycerol in buffered saline Preservative used for urine examination in autopsy - thymol formalin used for histopathological examination